Which of the following is not part of epithalamus?
1. Trigonum Habenulae
2. Geniculate bodies
3. Pineal body
4. Posterior commissure

Correct answer: 2. Geniculate bodies

Explanation: EPITHALAMUS:It occupies the caudal part of the roof of the diencephalon and consists of 1.The right and left habenular nuclei,each situated beneath the floor of the corresponding habenular trigone. 2.The pineal body or epiphysis cerebri 3.The habenular commissure 4.The posterior commissure REF.B D Chaurasia's human anatomy,Vol.3,Fifth edition